The single most common cause of maternal mortality is?
1. Anemi
2. Sepsis
3. Obstetric hemorrhage
4. Obstructed labor

Correct answer: 3. Obstetric hemorrhage

Explanation: Ans. is 'c' i.e., Obstetric hemorrhage